Tumours most common to cause early papilledema arise from:
1. Cerebellum
2. Mid brain
3. Parieto-occipital region
4. All of the above

Correct answer: 4. All of the above

Explanation: Ans. All of the above